Which is a yeast like fungi:
1. Cryptococcus
2. Candida
3. Blastomyces
4. Histoplasma

Correct answer: 2. Candida

Explanation: Ans. B: Candida Yeast like fungi grow partly as yeast and partly as elongated cells resembling hyphae.The latter form a pseudomycelium. Candida albicans is a pathogenic yeast-like fungus.